Massive PPH may warrant following interventions:a) Hysterectomyb) Thermal Endometrial ablationc) Internal iliac A. ligation d) Balloon tamponadee) Uterine artery embolisation
1. bce
2. bde
3. abcd
4. acde

Correct answer: 4. acde